All of the following are continuous variable   except
1. Weight in kgs
2. Height in cm
3. Hb levels in mg/dl
4. Human blood group

Correct answer: 4. Human blood group

Explanation: Human blood group (A,B,AB,O) is a type of discrete variale.